Terlipressin is preferred over vasopressine for esophageal varices because of -
1. Faster acting
2. Not metabolized
3. Less side effects
4. More potent

Correct answer: 3. Less side effects

Explanation: Ans. is 'c' i.e., Less side effects o Terlipresin is preferred over vasopressine because: -i) Fewer adverse effectsii) Greater convenience in use